Management of subclavian artery injury due to inadvertent central catheter insertion include all of the following excepa -
1. Closure device
2. Mechanical Compression
3. Covering stent
4. Tract embolization

Correct answer: 2. Mechanical Compression

Explanation: Ans. is 'b' i.e., Mechanical Compression o Adequate manual compression of the subclavian artery to obtain hemostasis is often not possible because of the interposing subcutaneous tissue and bony structure, as well as the lack of structural support around the subclavian artery".Treatmento With the availability of a variety of covered stents, their use will likely be considered the first treatment option, especially in the presence of a pseudoaneurysm or if the underlying injured subclavian artery has an associated dissection. However, in very young patients or those with sepsis, or when significant branch vessels may be compromised by a covered stent, other management techniques can be employed. Use of arterial closure devices can be attempted, especially when the distance from the skin to the artery tract is less than 5 cm and access to the artery is still available. Tract embolization with Gelfoam can be employed.